Symptoms of Hartnup's disease mimic:-
1. Beri-Beri
2. Pellagra
3. Kwashiorkor
4. Korsakoff psychosis

Correct answer: 2. Pellagra

Explanation: Deficiency of tryptophan will lead to the deficiency of Niacin in the body Thus causing pellagra like symptoms (neurological and dermatologic), Hartnup's Disease: AR (autosomal recessive), rare disorder Defect in neutral amino acid transporter also called mono-amino mono carboxylic amino acid transporter which transports neutral amino acid including tryptophan. Failure to absorb tryptophan from intestine and also reabsorb it by kidneys Tryptophan forms Niacin (Vitamin B3) in the body, Deficiency of it will lead to the deficiency of Niacin in the body Thus causing pellagra like symptoms (neurological and dermatologic),despite an adequate intake of both Tryptophan and niacin. C/F - Aminoaciduria i.e. Tryptophan in urine without a corresponding increase in plasma tryptophan levels